Why does initiation of nerve impulse occurs at the axon hillock?
1. It is unmyelinated
2. Due to the release of neurotransmitter
3. It has a lower threshold than the rest of the axon
4. None of the above

Correct answer: 3. It has a lower threshold than the rest of the axon

Explanation: In motor neurons, the portion of the cell with the lowest threshold for the production of a full fledged action potential is the initial segment, the portion of the axon at and just beyond the axon hillock. Ref: Ganong's Review of Medical Physiology, 23rd Edition, Chapter 4.